MAC stands for
1. Minimum alveolar concentration
2. Minimal analgesic concentration
3. Minimal anaesthetic concentration
4. Maximum alveolar concentration

Correct answer: 1. Minimum alveolar concentration

Explanation: Minimum alveolar concentration is defined as the alveolar concentration of an inhaled anesthetic agent that prevents movement in 50% of patients in response to a standardized surgical stimulus. Low MAC - High potency MAC values of adult Halothane: 0.75 Sevoflurane: 2.0 Isoflurane: 1.2 Desflurane: 6.0 Enflurane: 1.7 Xenon: 70 N2O: 104 Ref: Miller's anesthesia 8th edition Ref: Morgan & Mikhail's clinical anesthesiology 6e